Not used as graft material in peripheral vascular disease -
1. Dacron graft
2. Vein
3. PTFE
4. PVC

Correct answer: 4. PVC

Explanation: Ans. is 'd' i.e., PVC